A 60-year-old retired banker complains of feeling dizzy with palpitations and breathlessness. His BP becomes un-recordable while ECG is being recorded. What should be the first step in the management of this patient?
1. IV Amiodarone 150mg
2. IV Lasix 40mg
3. Cardioversion
4. IV lignocaine

Correct answer: 3. Cardioversion

Explanation: ECG shows broad complex QRS tachycardia diagnostic of Ventricular tachycardia (MONOMORPHIC). Since the BP of the patient is crashing-Pt unstable - Rx- Cardioversion-DC Shock